In ethambutol toxicity there will be loss of ability to see which of the following colour?
1. Red
2. Green
3. Blue
4. Yellow

Correct answer: 2. Green

Explanation: Optic neuritis, the most serious adverse effect reported, typically presents as reduced visual acuity, central scotoma, and loss of the ability to see green (or, less commonly, red). Ref: Harrisons Principles of Internal Medicine, 18th Edition, Page 1376.